Posterior boundary of carotid triangle is -
1. Omohyoid superior belly
2. Sternocleidomastoid posterior margin
3. Digastric posterior belly
4. Sternocliedomastoid anterior margin

Correct answer: 4. Sternocliedomastoid anterior margin

Explanation: Posterior boundry of carotid triangle is formed by anterior border of sternocleidomastoid.